Radiological finding in ileal atresia :
1. Microcolon on Ba enema
2. Double bubble sign
3. Coil spring appearance in Ba-Enema
4. All

Correct answer: 1. Microcolon on Ba enema

Explanation: A i.e. Microcolon on Ba enema